Bronchial Asthma is characterized by all of the following, Except:
1. Inflammatory disease of airway
2. Allergic disease of airway
3. Hyporesponsive ness of airway
4. Hyperresponsiveness of airway

Correct answer: 3. Hyporesponsive ness of airway

Explanation: Answer is C (Hyporesponsiveness of airway): Asthma is characterized by Hyperresponsiveness of airways and not hyporesponsivenes Asthma is an inflammatory disorder of the airways Asthma is a chronic inflammatory disorder of the airways - CMDT-2009/210 Asthma is an allergic disease of the airways The pattern of inflammation in Asthma is characteristic of allergic disease' - Harrison 17th/1598 The strongest identifiable predisposing factor for Asthma is Atopy. Exposure of sensitive patients to `allergans' increases airway inflammation airway hyper responsiveness and symptoms - CMDT 1009/210 Asthma is associated with hyper responsiveness of airways (AHR) Airway hyperresponsiveness (AHR) is the characteristic physiologic abnormality of Asthma AHR describes the excessive bronchoconstricter response to multiple inhaled triggers that would have no effect on normal airways- Harrison 17th/1601 Inhaled corticosteroids are the mainstay of treatment Inhaled corticosteroids are by far the most effective controllers for Asthma and their early use has revolutionized asthma therapy. Inhaled corticosteroids are now given as first line therapy to patients with persistent Asthma